In AIDS patients with pregnancy a drug X is not given orally because it consists of propylene glycol. The side effects of this drug are hyper-pigmentation on the palms of the hands and soles of the feet. What is the drug X?
1. Amprenavir
2. Efavirenz
3. Emtricitabine
4. Zalcitabine

Correct answer: 3. Emtricitabine

Explanation: Oral form amprenavir and emtricitabine having propylene glycol, a toxic compound. The distinctive side effect of emtricitabine is hyperpigmentation. Efavirenz found teratogenic in pregnant monkeys and should not be given in first 8 weeks of pregnancy.